Respiratory alkalosis occur in-
1. Excessive ventilation
2. Pyloric stenosis
3. Diabetic ketoacidosis
4. Primary hyperaldosteronism

Correct answer: 1. Excessive ventilation

Explanation: Causes of respiratory Alkalosis are: A. Central nervous system stimulation 1. Pain 2. Anxiety, psychosis 3. Fever 4. Cerebrovascular accident 5. Meningitis, encephalitis 6. Tumor 7. Trauma B. Hypoxemia or tissue hypoxia 1. High altitude 2. Pneumonia, pulmonary edema 3. Aspiration 4. Severe anemia C. Drugs or hormones 1. Pregnancy, progesterone 2. Salicylates 3. Cardiac failure D. Stimulation of chest receptors 1. Hemothorax 2. Flail chest 3. Cardiac failure 4. Pulmonary embolism E. Miscellaneous 1. Septicemia 2. Hepatic failure 3. Mechanical hyperventilation 4. Heat exposure 5. Recovery from metabolic acidosis